Gamma globulin is synthesized in
1. Liver
2. Kidney
3. Spleen
4. Plasma cells

Correct answer: 4. Plasma cells

Explanation: Gamma globulins are a class of globulins, identified by their position after serum protein electrophoresis. The most significant gamma globulins are immunoglobulins (antibodies), although some immunoglobulins are not gamma globulins, and some gamma globulins are not immunoglobulins Ref: guyton and hall textbook of medical physiology 12 edition page number: 130,131,132